A 4-year-old presents with Labia lingual caries affecting
only maxillary incisors and involving molars
The diagnosis would be
1. Type I ECC
2. Type II ECC
3. Type III ECC
4. Rampant caries

Correct answer: 2. Type II ECC